Coeliac disease is commonly associated with which bullous dermatosis
1. Dermatitis herpetiformis
2. Erythema multiforme
3. Pemphigoid
4. Pemphigus vulgaris

Correct answer: 1. Dermatitis herpetiformis

Explanation: Coeliac disease is commonly associated with dermatitis herpetiformis.